Lord's Plication is done for:
1. Inguinal Hernia
2. Testicular cancer
3. Hydrocele
4. Testicular varices

Correct answer: 3. Hydrocele

Explanation: Hydrocele